Marker of small cell cancer of lung is -
1. Chromogranin
2. Cytokeratin
3. Vimentin
4. Desmin

Correct answer: 1. Chromogranin

Explanation: Ref:Textbook of pathology (Harsh mohan) 6th edition,page no.500 Small cell carcinoma: Small cell carcinomas are frequently hilar or central in location, have strong relationship to cigarette smoking and are highly malignant tumours. They are most often associated with ectopic hormone production because of the presence of neurosecretory granules in majority of tumour cells which are similar to those found in argentaffin or Kulchitsky cells normally found in bronchial epithelium. By immunohistochemistry, these tumour cells are positive for neuroendocrine markers: chromogranin, neuron-specific enolase (NSE) and synaptophysin.